The true statement about contrast induced acute kidney injury is:
1. Rise in the serum creatinine after 12 hours
2. Peak in serum creatinine in 2 weeks
3. Dialysis requirement is usually uncommon
4. High fractional excretion of Na is a common finding

Correct answer: 3. Dialysis requirement is usually uncommon

Explanation: Iodinated contrast agents are a leading cause of AKI. Increased risk is seen in Chronic kidney disease - particularly diabetic nephropathy The most common clinical course of contrast nephropathy is A rise in SCr beginning 24-48 hours following exposure Peaking within 3-5 days Resolving within 1 week ALSO NOTE: More severe, dialysis-requiring AKI is uncommon Patients with multiple myeloma and renal disease are particularly susceptible for severe renal failure. Low fractional excretion of sodium and without features of tubular necrosis are common findings. Ref: Harrison-E-18, P-2297.